Most common electrolyte imbalance that causes paralytic ileus is:
1. Hyponatremia
2. Hypernatremia
3. Hypokalemia
4. Hyperkalemia

Correct answer: 3. Hypokalemia

Explanation: Paralytic Ileus: Common Etiologies Abdominal surgery Uremia Medications: - Anticholinergics - Opiates - Phenothiazines - Calcium channel blockers - Tricyclic antidepressants Infections: - Sepsis - Intra-abdominal abscess - Peritonitis - Pneumonia Hypothyroidism Ureteral colic Retroperitoneal hemmorrhage Spinal cord Injury Myocardical infarction Mesenteric ischemia Electrolyte abnormalities: - Hypokalemia - Hypomagnesmia - Hypermagnesemia - Hyponatremia